Calculus is the:
1. Governing factor.
2. Contributing factor.
3. Etiological factor.
4. Primary factor.

Correct answer: 2. Contributing factor.

Explanation: Calculus does not directly irritate the gingiva but it provides a fixed nidus for the continued accumulation of plaque and holds it against gingiva and thus acts as a contributing factor.